Which of the following group of antifungal drugs acts through squalene epoxidase enzyme?
1. Imidazole and triazole
2. Griseofulvin
3. Polyenes
4. Allylamine and benzylamine

Correct answer: 4. Allylamine and benzylamine

Explanation: Ans. D. Allylamine and benzylaminea. Allylamines and benzylaminesb. (terbinafine, butenafine)c. inhibit squalene epoxidase, an early step of ergosterol biosynthesisd. Azolese. Inhibits lanosterol - 14a, demethylase - depletes ergosterol and accumulates aberrant and toxic sterol in the membrane